Serotonin is:
1. 5 Hydroxy tryptophan
2. 5 Hydroxy tryptamine
3. 5 Carboxy tryptamine
4. 5 Carboxy tryptophan

Correct answer: 2. 5 Hydroxy tryptamine

Explanation: Ans. B. 5 Hydroxytryptamine5 Hydroxy Tryptophan is decarboxylated by Aromatic aminoacid decarboxylase to form 5 Hydroxytryptamine or Serotonin. Coenzyme is PLP.